Which of the following is used in the treatment of differentiated thyroid cancer?
1. 131I
2. 99mTc
3. 32p
4. 311–mIBG

Correct answer: 1. 131I

Explanation: The differentiated thyroid cancer and even the metastatic burden can be effectively controlled by I131 therapy.